Mega voltage therapy consists of:
1. Greater than 1000 k volts
2. 500-1000
3. Less than 500
4. More than 2000

Correct answer: 1. Greater than 1000 k volts

Explanation: Ans: A (Greater than 1000 k volts) Ref: Internet sourceExplanation:Megavoltage X-rays are produced by linear acceleratorsOperates at voltages in excess of 1000 kV (1 MV) range, and therefore have an energy in the MeV rangeBeams w ith the voltage range of 4-25 MV are used to treat patients because they penetrate w ell to deep sites within the body.